Fertilisation of a second ovum in a woman who is already pregnant is called
1. Superfecundation
2. Superfoetation
3. Pseudocyesis
4. Fraternal twins

Correct answer: 2. Superfoetation

Explanation: Superfoetation This means the fertilisation of a second ovum in a woman who is already pregnant. Later, two fetuses are born at the same time showing different stages of development. According to some, this is because one fetus is getting more blood supply and nutrition than the other. Ref: FORENSIC MEDICINE AND TOXICOLOGY Dr PC IGNATIUS THIRD EDITION PAGE 333